Inguinal ligament forms the boundaries of
1. Calots triangle
2. Hesselbach's triangle
3. Triangle of doom
4. Triangle of pain

Correct answer: 2. Hesselbach's triangle

Explanation: INGUINAL LIGAMENT:- Extends from anterior superior iliac spine to pubic tubercle. Forms boundaries of femoral triangle and Hesselbach's triangle. FEMORAL TRIANGLE:- Triangular depression on front of the upper one third of the thigh immediately below the inguinal ligament. BOUNDARIES :- 1. Laterally: medial border of sartorius. 2. Medially: medial border of adductor longus. 3. Base: inguinal ligament. 4. Apex:directed downwards.formed by the point where the medial and lateral boundaries cross.apex is continuous with the adductor canal. 5. Roof: skin,superficial fascia and deep fascia.Superficial fascia contains superficial inguinal lymph nodes,femoral branch of genitofemoral nerve,branches of ilioinguinal nerve,superficial branches of the femoral artery with accompanying veins and the upper part of the great saphenous vein. 6. Floor: medially by adductor longus and pectineus,and laterally by the psoas major and iliacus. CONTENTS:- 1. Femoral artery and its branches.- Superficial branches-superficial external pudendal Superficial epigastric Superficial circumflex iliac Deep branches-profunda femoris, muscular branches and deep external pudendal 2. Femoral vein and its tributaries 3. Femoral sheath 4. Femoral nerve 5. Nerve to pectineus 6. Femoral branch of genitofemoral nerve. 7. Lateral cutaneous nerve of thigh. 8. Deep inguinal lymph nodes. Vein is medial to artery (base) Vein posteromedial to artery (apex) HESEELBACH'S TRIANGLE:- Boundaries- 1. Medially-Lateral border of rectus abdominis 2. Laterally- inferior epigastric artery. 3. Base - inguinal ligament. {Reference:BDC 6E pg no. 45}